Mackler's triad includes all except
1. Vomiting
2. Subcutaneous emphysema
3. Lower thoracic pain
4. Peripheral cyanosis

Correct answer: 4. Peripheral cyanosis

Explanation: Mackler's triad is seen in Boerhaave's syndrome. It consists of Vomiting, Chest pain and Subcutaneous emphysema. Reference : page 802 SRB's manual of surgery 5th edition